Death of a patient due to an unintentional act by a doctor, staff or hospital is:
1. Therapeutic misadventure
2. Vicarious liability
3. Therapeutic privilege
4. Diminished liability

Correct answer: 1. Therapeutic misadventure

Explanation: Ans. (A). Therapeutic misadventure(Ref: The Essentials of Forensic Medicine and Toxicology by KS Narayan Reddy. 33rd edition 2010. Pg: 38)Civil negligenceSimple absence of skill & careCriminal negligenceGross absence of skill & careContributory NegligenceBoth doctor and patient are negligentCorporate NegligenceFailure in part of hospital management to provide adequate facilitiesDoctrine of Res Ipsa LoquitarThe things or facts speaks for itself. E.g. Amputation of a wrong limbDoctrine of calculated riskEvery medical procedure had Inherent riskNovus Actus InterveniensUnrelated Action InterveningTherapeutic misadventureMischance or disaster.A person dies due to some unintentional act of doctor or hospitalDoctrine of Respondent Superior(Vicarious Liability)Let the master answerProduct's liabilityManufacturer is responsible for quality of drug & medical equipment.